About Mondor's disease -a) Superficial thrombophlebitisb) Lymphatic infiltration tumour cellc) Cord like apperance of subcutanous veinsd) Occurs all over the body
1. ac
2. bc
3. ad
4. b

Correct answer: 1. ac